A vitreous aspirate has been collected in an emergency at 9 pm. What advice you like to give to the staff on duty regarding the overnight storage of the sample –
1. The sample should be kept at 4°C
2. The sample should be incubated at 37°C
3. The sample should be refrigerated in deep freezer
4. The sample should be refrigerated for the initial 3 hours and then incubated at 37° C

Correct answer: 1. The sample should be kept at 4°C

Explanation: Vitreous sample collected in an emergency is stored at 4° C.